Nerve supply of Trapezius
1. Spinal accessory nerve
2. Hypoglossal nerve
3. Trochlear nerve
4. Trigeminal nerve

Correct answer: 1. Spinal accessory nerve

Explanation: TRAPEZIUS: Origin: medial 1/3 rd of superior nuchal line., ligamentum nuchae, external occipital protuberance and spines of C7-T12 vertebrae. Insertion:-lateral 1/3rd of clavicle., medial margin of acromion,superior margin of spine of scapula. Nerve supply: spinal accessory( motor),C3,C4 spinal nerves ( proprioceptive). Action:- upper fibres elevate scapula,'middle fibres retract ,and lower fibres depress scapula. {Reference: vishram singh, pg no. 72}